Flaring of anterior ends of the ribs is characteristically seen in:
1. Neurofibromatosis
2. Scurvy
3. Rickets
4. Hypothyroidism

Correct answer: 3. Rickets

Explanation: Flaring of the anterior ends of the ribs is characteristically seen in rickets. In children, prior to epiphyseal fusion, vitamin-D deficiency results in growth retardation associated with an expansion of the growth plate known as rickets. Though flaring of the ribs can also be seen in scurvy, it is more characteristic of rickets. Ref: Harrison's Principle of Internal Medicine, 16th Edition, Page 2247; Abnormal Skeletal Phenotypes: From Simple Signs to Complex Diagnosis By Alessandro Castriota-Scanderbeg, Bruno Dallapiccola, Page 140